MPS without corneal clouding is?
1. Hurler's disease
2. Hunter's disease
3. sly syndrome
4. Maroteaux Lamy syndrome

Correct answer: 2. Hunter's disease